Guanidine special group is presesnt in
1. Arginine
2. Proline
3. Tryptophan
4. Tyrosine

Correct answer: 1. Arginine

Explanation: AMINO ACID SPECIAL GROUP Arginine Guanidinium Proline Pyrolidine Tryptophan Indole Phenylalanine Benzene Tyrosine Phenol Histidine Imidazole Methionine Thioether linkage Reference: Harpers illustrated biochemistry 30th edition